Syndrome containing colorectal cancer with endometrial cancer is called as:
1. Cowden syndrome
2. Lynch syndrome
3. Turcot's syndrome
4. Juvenile polyposis syndrome

Correct answer: 2. Lynch syndrome

Explanation: Hereditary Non polyposis colorectal cancer is aka Lynch Syndrome - Lynch Syndrome 1- has only colorectal Ca - Lynch Syndrome 2- has colorectal Ca +Extraintestinal (endometrial >gastric>ovarian) malignancy Turcot's Syndrome- has Brain Tumor Juvenile Polyposis Syndrome- has presence of multiple hamartomatous polyps Cowden Syndrome - ectodermal polyps with malignancy of breast, uterus and thyroid.